Eisenmenger's syndrome is characterized by all except
1. Cyanosis
2. Anemia
3. Pulmonary hypertension
4. Narrow split S2

Correct answer: 2. Anemia

Explanation: Polycythemia occurs in eisenmengers syndrome due to increased erythropoietin  produced as a result of increased deoxygenated blood.